Genital warts are most commonly caused by which of the following serotypes of V ?
1. HPV 6
2. HPV 16
3. HPV 18
4. HPV 33

Correct answer: 1. HPV 6

Explanation: Genital warts (anogenital warts or condyloma acuminata) is most commonly caused by low risk HPV i.e. HPV-6, 11. Other HPV causing genital warts are high risk HPV, i.e. HPV-16,18, 31, 33, 45.